lrregular shsdding ot the endomgtrlum occura due to :
1. Epithelium being immalure
2. lt does nol show the decidus - like oedema ot the secretory phase
3. Regression of the corpus luteum tunction
4. Over activily ot the corpus luteum function

Correct answer: 4. Over activily ot the corpus luteum function

Explanation: Over activily ot the corpus luteum function